In Hydrocephalus ex vacuo, the compensatory enlargement of ventricles and an increase in CSF volume due to brain atrophy is seen in-
1. Alzheimers diseae
2. Picks diseases
3. Both
4. None of the above

Correct answer: 3. Both

Explanation: Hydrocephalus ex vacuo

Insignificant cortical atrophy, there is compensatory ventricular enlargement secondary to loss of parenchyma → Hydrocephalus ex vacuo.
This can be seen in Alzheimer disease and Pick disease. - Anderson 10th/ep. 2740.